What is TRUE regarding adenocarcinoma lung
1. Causes 50% of lung cancers
2. Unlikely histological variant in young patients
3. Associated with subcutaneous angiomyolipoma
4. Peripheral location

Correct answer: 4. Peripheral location

Explanation: Squamous cell carcinoma and small cell carcinoma usually present as central masses with endobronchial growth, while adenocarcinomas and large cell carcinomas tends to present as peripheral nodules or masses with pleural involvement Ref Harrison 19th pg 2415